To record the angulation of the maxilla, a plane should be formed with minimum:
1. 2 posterior and 1 anterior reference points
2. 3 posterior and 1 anterior reference points
3. 1 posterior and 3 anterior reference points
4. 1 posterior and 2 posterior reference points

Correct answer: 1. 2 posterior and 1 anterior reference points

Explanation: To record the angulation of the maxilla, a plane should be formed with at least two posterior references and one anterior reference.